Which of the following junction do not provide rigidity and support:
1. Tight junction.
2. Gap junction.
3. Desmosomes
4. Adherens junction.

Correct answer: 2. Gap junction.

Explanation: Gap junction is communicating junction.